Cyst around crown of uninterrupted tooth is
1. Periapical cyst
2. Radicular cyst
3. Dentigerous cyst
4. Odontogenous cyst

Correct answer: 3. Dentigerous cyst

Explanation: Dentigerous cyst is a unilocular cystic swelling arising in relation to the dental epithelium from an unerupted tooth SRB,5th edition,360 .